During starvation, which of the following shows the most marked increase in plasma concentration:
1. Glycogen
2. Glucose
3. Ketone bodies
4. Free fatty acids

Correct answer: 3. Ketone bodies

Explanation: During starvation=Ketone Bodies are increased in blood It is the fuel for vital organs:-heart,brain and skeletal muscles. Liver constantly synthesize minimal amounts of Ketone Bodies normally but the amounts are significantly raised during Fasting and Starvation as these organs extract ATPs (energy) from them. WITH REGARDS TO OTHER OPTIONS: (Option 1 and 2) i.e glycogen and glucose respectively are decreased during starvation. (Option 4) Free fatty acids are increased in both fasting and starvation.